Eagle Barrett syndrome, all are true except -
1. Also known as prune belly syndrome
2. Pulmonary hypoplasia
3. Bilateral undescended testes
4. Scapular hypoplasia

Correct answer: 4. Scapular hypoplasia

Explanation: Ans. is 'd' i.e., Scapular hypoplasia Prune Belly or Eagle Barrett syndrome -o Consists of -Extremely lax lower abdominal musculatureDilated urinary tractB/l undescended testeso Comorbidities -Pulmonary' hypoplasiaDislocation/dysplasia of hipPectus excavatum